Steriliation of culture media containing serum is by -
1. Autoclaving
2. Micropore filter
3. Gamma radiation
4. Centrifugation

Correct answer: 2. Micropore filter

Explanation: Micropore or membrane filter is made of cellulose ester which is used to purify serum containing culture media, Solutions for parentral use. REF:Textbook of microbiology, Ananthanarayan and Paniker. Page no.:33